Radiotherapy is the "Treatment" of Choice for:
1. Nasopharyngeal carcinoma T3N I
2. Supraglottic CA T3NO
3. Glottic CA T3NI
4. Subglottic CA T3NO

Correct answer: 1. Nasopharyngeal carcinoma T3N I

Explanation: Nasopharyngeal carcinoma T3N I